Gap between true end of casting ring and wax pattern should be
1. ¼ inch
2. ½ inch
3. 3/8 inch
4. one inch

Correct answer: 1. ¼ inch